A male was brought unconscious to the hospital with external injuries. CT brain showed no midline shift, but basal cisterns were compressed with multiple small hemorrhages. What is the diagnosis:
1. Cortical contusion
2. Cerebral laceration
3. Multiple infarcts
4. Diffuse axonal injuries

Correct answer: 4. Diffuse axonal injuries